Which of the following association is true regarding facial nerve palsy in temporal bone fractures?
1. Common with Longitudinal fractures
2. Common with Transverse Fracture
3. Always associated with CSF Otorrhea
4. Facial nerve injury is always complete

Correct answer: 2. Common with Transverse Fracture

Explanation: Longitudinal fractures of Temporal bone are more common than transverse fracture but, facial nerve injury is most commonly associated with Transverse fracture of the temporal bone.